The net ATP yield when one molecule of pyruvate is completely oxidized to CO2 & H2O is:
1. 12.5
2. 15
3. 18
4. 30

Correct answer: 1. 12.5

Explanation: The question says complete oxidation of pyruvate and not glucose, so we have to start with pyruvate without considering the glycolysis part. Net ATPs produced = 2.5 + 7.5 + 1.5 + 1.0 =12.5 ATPs